Commonest cause of esophageal performation is-
1. Acid ingestion
2. Hyperemesis
3. Instrumentation
4. Carcinoma infiltrating

Correct answer: 3. Instrumentation